Primary injury is ?
1. Due to flying debris b
2. Due to blast wind
3. Due to shock wave
4. Due to complication

Correct answer: 3. Due to shock wave

Explanation: Ans. is 'c' i.e., Due to shock wave Types of blast injuries These are of following types :? Primary : It is due to shock wave which causes injury to hollow organs. e.g. ears, lungs, eyes, GIT etc. Secondary : These are due to flying debris (missiles). Classical Marshalls triad i.e. bruises, abrasions and puncture laceration is diagnostic of explosive injury. Tertiary : It is due to blast wind, i.e. victm is thrown into air and strikes other objects leading to fracture, blunt trauma etc. Quaternary : Any complicating factor (not in first three categories) causes quaternary injury, e.g. anoxia, respiratory problems etc